About Cushing syndrome, true is:
1. Low dose dexamethasone suppresses coicosone secretion
2. CA of adrenal is more common than adenoma
3. Pituitary adenoma size > 2 cm (usually)
4. Increased ACTH secretion is the commonest endogenous cause

Correct answer: 4. Increased ACTH secretion is the commonest endogenous cause

Explanation: Answer is D (Increased ACTH secretion is the commonest endogenous cause): The most common endogenous cause of Cushing's syndrome is increased ACTH secretion by a pituitary adenoma. In Cushing syndrome low dose dexamethasone fails to suppress cortisol secretion 'In normal subjects administration of supraphpiological doses of glucocorticoid results in suppression of ACTH and hence of cortisol secretion. In Cushing's syndrome of whatever cause there is failure of this suppression when low doses of synthetic glucocorticoid dexamethasone are given'. - Oxford Textbook of Medicine 4th/246 Carcinoma of Adrenal is not more common than Adrenal Adenoma as a cause for Cushing's syndrome 'Adrenal Adenoma are responsible for about the same number of cases as Adrenal Carcinomas'. - Oxford Textbook 'Adrenal Neoplasms are usually unilateral and about half are malignant' - Harrison The size of pituitary Adenoma is usually < 1 cm and not > 2 cm Most common cause of Cushing's syndrome (endogenous) is a Pituitary microadenoma which is less than 10 mm in diameter - Harrison